Toxic focal myopathy is adverse affect of-
1. Aminoglycosides
2. Narcotics
3. Insulin
4. Penicillin

Correct answer: 2. Narcotics